Acanthosis means -
1. Loss of intracellular connections
2. Abnormal premature keratinization
3. Diffuse epidermal hyperplasia
4. Thickening of stratum corneum

Correct answer: 3. Diffuse epidermal hyperplasia

Explanation: Ans. is 'c' i.e., Diffuse epidermal hyperplasiaDEFINITIONS OF MICROSCOPIC TERMS Hyperkeratosis Thickening of the stratum corneum, often associated with a qualitative abnormality of the keratin. Parakeratosis Modes of keratinization characterized by the retention of the nuclei in the stratum corneum. On mucous membranes, parakeratosis is normal.Hypergranulosis Hyperplasia of the stratum granulosum, often due to intense rubbing.Acanthosis Diffuse epidermal hyperplasia.Papillomatosis Surface elevation caused by hyperplasia and enlargement of contiguous dermal papillae. Dyskeratosis Abnormal keratinization occurring prematurely within individual cells or groups of cells below the stratum granulosum.Acantholysis Loss of intercellular connections resulting in loss of cohesion between keratinocytes. Spongiosis Intercellular edema of the epidermis.Hydropic swelling (ballooning) Intracellular edema of kerantinocytes, often seen in viral infections Exocytosis infiltration of the epidermis by inflammatory or circulating blood cells.Erosion Discontinuity of the skin exhibiting incomplete loss of the epidermis.Ulceration Discontinuity of the skin exhibiting complete loss of the epidermis and often of portions of the dermis and even subcutaneous fat.Vacuolization Formation of vacuoles within or adjacent to cells; often refers to basal cell-basement membrane zone area.Lentiginous Referring to a linear pattern of melanocyte proliferation within the epidermal basal cell layer. Lentiginous melanocytic hyperplasia can occur as a reactive change or as part of a neoplasm of melanocytes.